25 year old male presented with growth in left atrium. Diagnosis?
1. Rhabdomyoma
2. Myxoma
3. Metastasis
4. Papillary elastosis

Correct answer: 2. Myxoma

Explanation: Ans. (b) MyxomaThe left atrium has been opened to reveal the most common primary cardiac neoplasm-an atrial myxoma. These benign masses are most often attached to the atrial wall. They can produce a "ball valve" effect by intermittently occluding the atrioventricular valve orifice.